Richest source of Vitamin-A -
1. Halibut liver oil
2. Carrot
3. Butter
4. Margarine

Correct answer: 1. Halibut liver oil

Explanation: Ans. is 'a' i.e., Halibut liver oil Retinol content of selected foodsRetinol equivalents (RE)(mcg/100 g)Halibut liver oil900,000Carrot1167Cod liver oil18,000Spinach607Liver, Ox16,500Amaranth515Butter825Green leaves300Margarine900Mango, ripe313Cheese650Papaya118Egg140Orange25Milk, Cow38Tomato84Fish40